True about "Zero base budgeting" is?
1. Relies on data of previous budget
2. Proceeds from resources to target
3. Proceeds from target to resource
4. Not a priority based budgeting

Correct answer: 3. Proceeds from target to resource

Explanation: Ans. (c) Proceeds from target to resourceRef: CIMA official Learning System Management According-Performance-p 209